Extended cholecystectomy includes removal of all except
1. Segment IV b & V of liver
2. Gall bladder
3. Peri-choledochal lymph node
4. Right hepatic bile duct

Correct answer: 4. Right hepatic bile duct

Explanation: Extended cholecystectomy - En bloc removal of segment IV b & V of liver + gall bladder + lymph node along :- Cystic duct CBD (peri-choledochal lymph node) Periportal lymph nodes Retro-pancreatic lymph nodes